Most common presentation of cardiac Lupus is
1. Myocarditis
2. Pericarditis
3. Aortic regurgitation
4. Libman sacks endocarditis

Correct answer: 2. Pericarditis